Most common site of glomus tumor is -
1. Under fingernails
2. Under toenails
3. Neck
4. Axilla

Correct answer: 1. Under fingernails

Explanation: Ans. is 'a' i.e., Under fingernails Glomus tumor (Glomangioma)o Benign tumor arising from the smooth muscle cells of the glomus body which is an arteriovenous anastomosis involved in thermoregulation.o Most commonly present in the distal portion of the digits (under fingernails).o Histologically, there is presence of branching vascular channels and stroma containing nests aggregates of glomus cells arranged around vessels.